All of the following are the therapeutic uses of penicillin G EXCEPT :
1. Bacterial meningitis
2. Rickettsial infection
3. Syphilis
4. Anthrax

Correct answer: 2. Rickettsial infection

Explanation: Penicillin is used for:
L - Listeria
A - Actinomycosis
S - Syphilis
T - Tetanus
M - Meningococcal meningitis 
AN - Anthrax